Alpha wave in EEG are seen in:
1. Mental work
2. Awake state
3. Sleep
4. REM sleep

Correct answer: 2. Awake state

Explanation: Ans. B: Awake state